All of the following are therapeutic uses of penicillin G, except -
1. Bacterial meningitis
2. Rickettsial infection
3. Syphilis
4. Anthrax

Correct answer: 2. Rickettsial infection

Explanation: Ans. is 'b' i.e., Rickettsial infection Antibacterial spectrum of Penicillin G (Benzyl Penicillin) o PnG is a narrow spectrum antibiotic o Activity is limited primary to gram positive bacteria (and few others). o Amongst gram negative organisms, penicillin has activity against gonococci, meningococci, few Ecoli & proteus. o Majority of gram negative bacilli are insensitive. o M. Tuberculosis, Ricketsiae, chlamydia, protozoa, fungi and viruses are totally insensitive to penicillin G. Penicillin G is the DOC for (Laurence 9th/e 218. Katzun_g 7301 1. Meningococcal meningitis 7. Leptospira 2. Bacillus anthracis (anthrax) 8. Actinomyces israelii (Actinomycosis) 3. Clostridium perfringens (gas gangrene) 9. Borrelia burgdorferi (Lyme disease) 4. Clostridium tetani (tetanus) 10. Enterococci 5. Corynebacterium diphtheriae 11. Streptococci 6. Treponema pallidum (syphilis) 12. Susceptible pneumococci